Causes of biliary tract carcinoma after ingesting infected fish -
1. Grathostoma
2. Angiostrongylus cantonens
3. Clonorchis sinensis
4. H. Dimunata

Correct answer: 3. Clonorchis sinensis

Explanation: In most cases the disease tends to remain low grade and chronic producing only minor symptoms of abdominal distress,intermittent diarrhea and liver pain or tenderness.C.sinensis has been linked to bile duct carcinoma.It is mostly observed in areas where chlonorchiasis is endemic (refer pgno:126 baveja 3 rd edition)